Excessive production of aldosterone results in:
1. Metabolic acidosis
2. Severe hypotension
3. Potassium retention
4. Depressed plasma renin

Correct answer: 4. Depressed plasma renin

Explanation: Ans. (d) Depressed plasma renin(Ref: Ganong, 25th ed/p.362)Primary Hyperaldosteronism is characterized by suppression of renin levels because of ECF volume expansion